The most common congenital anomaly of the urinary tract:
1. Epispadias
2. Hypospadias
3. Exstrophy of bladder
4. Posterior urethral valve

Correct answer: 2. Hypospadias

Explanation: b. Hypospadias(Ref: Nelson 20/e p 2573-2578)Hypospadias is a urethral opening on the ventral surface of the penile shaft affecting 1 in 250 male newborns.Exstrophy of urinary bladder:It occurs in 1 in 35,000-40,000 births; Male: female ratio is 2:1Severity ranges from simple epispadias (in boys) to cloacal exstrophy. Posterior urethral valve:The most common cause of severe obstructive uropathy in children is posterior urethral valves, affecting 1 in 8,000 boys.